Color Doppler study can evaluate the following EXCEPT
1. Direction of blood flow
2. Velocity of blood flow
3. Impedance index
4. Intravascular pressure

Correct answer: 4. Intravascular pressure

Explanation: (D) Intravascular pressure # Color Doppler Study:> The regions of blood flow are displayed in colour as an overlay on the grey scale 2D image.> This technique of CFI was first applied in cardiology, then refined for peripheral vascular imaging & has now become widely used for vascular studies throughout the body> Characteristics of blood flow - Main advantages of colour flow systems arise from the ease with which vessels can be detected and their patency confirmed. In many applications this may be all that is required for confirming that a structure is a vessel, or that a known vessel is patent. Where relevant, the direction of flow can also be easily confirmed for example in the portal vein.